Pick the wrong statement regarding the lipid abnormalities seen in patients with type 2 diabetis mellitus:
1. Increase in hepatic VLDL production
2. Decrease in plasma levels of HDL cholesterol
3. Elevated levels of plasma LDL cholesterol
4. Elevated plasma triglycerides

Correct answer: 3. Elevated levels of plasma LDL cholesterol

Explanation: The most common pattern of dyslipidemia is hypertriglyceridemia and reduced HDL cholesterol levels. DM itself does not increase levels of LDL, but the LDL particles found in type 2 DM are small and dense and are more atherogenic. Must know: Other lipid abnormalities seen in DM are: 1. Decrease in LPL activity resulting in reduced catabolism of chylomicrons and VLDLs 2. Increase in the release of free fatty acid from the adipose tissue 3. Increase in fatty acid synthesis in the liver 4. Increase in hepatic VLDL production Elevated plasma LDL-C levels usually are not seen in of diabetes mellitus and suggest the presence of an underlying lipoprotein abnormality or may indicate the development of diabetic nephropathy. Ref: Harrisons principles of internal medicine, 18th edition, Page: 3155